The mechanism of action of valproic acid is
1. Inhibition of Na+ channel inactivation
2. Inhibition of GABA
3. Opening of K+ channels
4. Inhibition of 'T' type Ca+2 current

Correct answer: 4. Inhibition of 'T' type Ca+2 current